Which is the best anti-hypertensive drug in pulmonary hypertension?
1. Bosentan
2. Amlodipine
3. Frusemide
4. Digoxin

Correct answer: 1. Bosentan

Explanation: Endothelin receptor antagonist Bosentan is approved by US FDA and improves exercise tolerance in 6-minute walk test. Amlodipine Not approved by US FDA and only 20% respond to CCB in the long term. Diuretics Will worsen PAH Digoxin Used in CHF and no role in PAH